Which of the following immunosuppressants is not used for the treatment of cancers?
1. Cyclophosphamide
2. Cyclosporine
3. Methotrexate
4. 6-Mercaptopurine

Correct answer: 2. Cyclosporine

Explanation: (Ref: KDT 6/e p839, 840) All antimetabolites can be used as anticancer drugs except azathioprine. Cyclosporine acts by inhibiting the transcription of IL-2 gene. It has no anti-cancer property.